Pepsinogen is activated by ?
1. Enterokinase
2. Enteropeptidase
3. H+
4. Trypsin

Correct answer: 3. H+

Explanation: Ans. is c i.e.,H+ Pepsin is secreted by chief cells of stomach in an inactive (zymogen) form called pepsinogen. Acid (IF) in lumen of stomach converts pepsinogen to active pepsin. Pepsin once formed also attacks pepsinogen producing more pepsin molecules by autocatalysis.